Apnea of prematurity of new born lasts for ?
1. 10 sec
2. 15 sec
3. 20 sec
4. 30 sec

Correct answer: 3. 20 sec

Explanation: *Apnoea is defined as cessation of respiration for 20 sec with or without bradycardia and cyanosis or for shorter periods if it is associated with cyanosis or bradycardia. It's a common problem in preterm neonates . It could be central , obstructive or mixed. Apnoea of prematurity occurs in preterm neonates between the 2nd to 5th days of life and is because of the immaturity of the developing brain. Reference : page 167 168 Ghai Essential Pediatrics 9 th editionedition